Which of the following criteria is used to diagnose Malignant melanoma?
1. Hanifin & Rajka criteria
2. ABCDE Criteria
3. Breslow's Criteria
4. Clark's criteria.

Correct answer: 2. ABCDE Criteria

Explanation: ABCDE criteria is used to diagnose malignant melanoma:
A: Asymmetry in lesions
B: Border (irregular)
C: Color (Multiple)
D: Diameter > 6mm
E: Evolution of lesions
Whereas Breslow's & Clark's method is used to know about prognostic value of malignant melanoma.